In which of the following, parallel and uniform spaced collagen present?
1. Diapharagm
2. Cornea
3. Basement membrane
4. Tympanic membrane

Correct answer: 2. Cornea

Explanation: Corneal stroma: a thick, transparent middle layer, consisting of regularly arranged collagen fibers along with sparsely distributed interconnected keratocytes Inderbir Singh's human Histology Seventh edition Pg 391